Maximum calories are found in which fruit -
1. Banana
2. Mango
3. Orange
4. Pear

Correct answer: 1. Banana

Explanation: Ans. is 'a' i.e., Banana FruitColurices (per piece)Banana107Mango40Orange65Pear45Apple95Avocado150